Which of the following is the "Least Common" complication of measles?
1. Diarrhoea
2. Pneumonia
3. Otitis media
4. SSPE

Correct answer: 4. SSPE

Explanation: The most serious complication is meningoencephalitis. A rare late complication in subacute sclerosing panencephalitis. REF:ANANTHANARAYAN AND PANIKER'S TEXTBOOK OF MICROBIOLOGY 9TH EDITION PAGE NO:512,513